Which of the following represent the commonest mode of inheritance of congenital heart disease?
1. Autosomal dominant
2. Autosomal recessive
3. Sex linked dominant
4. Multifactorial

Correct answer: 4. Multifactorial

Explanation: Cardiovascular defects are the most common among all the birth defects. These malformations occur due to complex multifactorial genetic and environmental causes. In Ref: Harrison's Principle of Internal Medicine, 16th Edition, Page 1920